Guerin's sign is:
1. Ecchymosis at greater palatine foramen
2. Ecchymosis at mastoid foramen
3. Ecchymosis at condylar region
4. Ecchymosis at infraorbital foramen

Correct answer: 1. Ecchymosis at greater palatine foramen